Which of the following antiumor agents works by impairing de novo purine synthesis?
1. Acyloguanosine
2. 5-Fluorouracil
3. Methotrexate (antifolate)
4. Allopurinol

Correct answer: 3. Methotrexate (antifolate)

Explanation: Ans. is 'c' i.e., Methotrexate (antifolate) o Methotrexate and permetrexed are dihydrofolate reductase (DHF Rase) inhibitors. o These drug also inhibit thymidylate synthase and de novo purine synthesis, which contribute to methotrexate toxicity.